Drug induced pseudomembraneous colitis is caused by
1. Cl.perfringens
2. Cl.difficile
3. Cl.tetani
4. Fusobacterium

Correct answer: 2. Cl.difficile

Explanation: Ans: b) Cl.difficile* CLdifficile is a gram positive bacillus* Non haemolytic, saccharolytic, weakly proteolytic* Pseudomembraneous colitis is due to enterotoxin (toxin A) & cytotoxin (toxin B) and Binary toxin* The toxin is neutralised by Clostridium sordelli antitoxin* Drug of choice: Metronidazole* Most common clinical feature: diarrhoea* Entire colon is affected in 90% patients, 70% have rectal sparing* Most sensitive test: stool culture for Cl.difficile* Probiotic medicine in treatment of it: saccharomyces boulardi* Drugs, causing this : clindamycin, ampicillin, cephalosporins (ceftriaxone, cefotaxim, cefuroxime, ceftazidime) & fluoroquinolone (ciprofloxacin, levofloxacin, gatifloxacin, moxifloxacin)